Barrets esophagus involves most commonly which part of esophagus
1. Upper 1\/3rd
2. lower 1\/3rd
3. Middle 1\/3rd
4. Diffuse

Correct answer: 2. lower 1\/3rd

Explanation: BARRETT'S OESOPHAGUS * It is the metaplastic changes in the mucosa of the oesophagus as the result of GERD. * Squamous epithelium of lower end of the oesophagus is replaced by diseased columnar epithelium (columnar metaplasia). * There is a macroscopically visible length of columnar mucosa with microscopic features of intestinal metaplasia. * It affects lower oesophagus commonly often middle oesophagus also. Ref: SRB's manual of surgery,3 rd ed , pg no 728